Doc for nasal carriers of MRSA
1. Vancomycin
2. Ceftobipirole
3. Linezolid
4. Mupirocin topical

Correct answer: 4. Mupirocin topical

Explanation: Topical mupirocin 2 % is the Doc for nasal carriers of MRSA.